Which of the following are the adverse effect/s of amiodarone
1. Pulmonary fibrosis
2. Corneal microdeposits
3. Photosensitivity
4. All of the above

Correct answer: 4. All of the above

Explanation: Ans. is 'd' i.e., All of the above Following are the adverse effects of amiodarone* Fall in BP, bradycardia and myocardial depression occurs on i.v. injection.* Photosensitization and skin pigmentation occurs in about 10% of patients.* Corneal microdeposits may cause headlight dazzle, but is reversible on discontinuation.* Pulmonary fibrosis and alveolitis is most serious side effect seen on prolonged use.* Peripheral neuropathy generally manifests as the pelvic and shoulder muscle weakness.* Amiodarone interferes with thyroid function and prevents peripheral conversion of T4 to T3 and hypothyroidism.